In cavernous sinus thrombosis, first nerve to be affected is:
1. 6th
2. 5th
3. 4th
4. 3rd

Correct answer: 1. 6th

Explanation: Ans. A i.e. 6th